True about trapezius are all except ?
1. Elevates the scapula
2. Originates for C7
3. Supplied by cranial part of accessory nerve
4. Causes over-head abduction

Correct answer: 3. Supplied by cranial part of accessory nerve

Explanation: Ans. is 'c' i.e., Supplied by cranial part of accessory nerve